Major signs included by WHO for AIDS diagnosisa) Chronic diarrhea > 1 monthb) Chronic cough > 1 monthc) Chronic fever  > 1 month  d) Weight loss of at least 10% of body weighte) Generalized Lymphadenopathy
1. abc
2. acd
3. bc
4. bde

Correct answer: 2. acd

Explanation: WHO CASE DEFINITION FOR AIDS SURVEILLANCE

For the purposes of AIDS surveillance an adult or adolescent (> 12 years of age) is considered to have AIDS if at least 2 of the following major signs are present in combination with at least 1 of the minor signs listed below, and if these signs are not known to be related to a condition unrelated to HIV infection.

Major signs (2 signs or more) :

Weight loss of at least 10% of body weight
Chronic diarrhoea for> 1 month
Prolonged fever for> 1 month (intermittent or constant)

Minor signs (1 or more) :

A persistent cough for> 1 month
Generalized pruritic dermatitis
History of herpes zoster
Oropharyngeal candidiasis
Chronic progressive or disseminated herpes virus infection
Generalized lymphadenopathy.
The presence of either generalized Kaposi sarcoma or cryptococcal meningitis is sufficient for the diagnosis of AIDS for surveillance purposes.

EXPANDED WHO CASE DEFINITION FOR AIDS SURVEILLANCE:

For the purpose of epidemiological surveillance, an adult (> 12 years of age) is considered to have AIDS if a test for HIV antibody shows positive results, and one or more of the following are present:
10% body weight loss or cachexia, with diarrhoea or fever, or both, intermittent or constant, for at least 1 month, not known to be due to a condition unrelated to HIV infection.
Cryptococcal meningitis.
Pulmonary or extra-pulmonary tuberculosis.
Kaposi sarcoma.
Neurological impairment sufficient to prevent independent daily activities not known to be due to a condition unrelated to HIV infection (for example, trauma or cerebrovascular accident).
Candidiasis of the oesophagus (which may presumptively be diagnosed based on the presence of oral candidiasis accompanied by dysphagia).
Clinically diagnosed life-threatening or recurrent episodes of pneumonia, with or without etiological confirmation.
Invasive cervical cancer.